All of the following agents are used in glaucoma treatment, except -
1. Apraclonidine
2. Timolol
3. Pilocarpine
4. Metoprolol

Correct answer: 4. Metoprolol

Explanation: Ans. is 'd' i.e., Metoprolol o Metoprolol is a beta blocker with local anaesthetic activity. Such beta blockers are not indicated in glaucoma. o Apraclonidine (alpha 2 agonist), timolol (beta blocker without local anaesthetic activity) and pilocarpine (directly acting miotic) are used in glaucoma.